All passes through deep inguinal ring, EXCEPT:
1. Spermatic cord
2. Internal spermatic fascia
3. Round ligament
4. Ilio inguinal nerve

Correct answer: 4. Ilio inguinal nerve

Explanation: It transmits the spermatic cord in the male and the round ligament of the uterus in the female into the inguinal canal. Internal spermatic fascia is present in the spermatic cord. Ilio inguinal nerve passes only through superficial inguinal canal and not through deep. Inguinal canal: contains the spermatic cord and the ilioinguinal nerve in the male, and the round ligament of the uterus and the ilioinguinal nerve in the female. It is an oblique canal about 4 cm. long, slanting downward and medialward, and placed parallel with and a little above the inguinal ligament; it extends from the deep inguinal ring laterally to the superficial inguinal ring medially. Deep inguinal ring: hole in transversalis fascia lying 3cm superior to the midpoint of the inguinal ligament. Contents:Spermatic cord in malesRound ligament in femalesSuperficial inguinal ring: V-shaped defect in the lower medial fibres of the external oblique just superior and lateral to the pubic tubercle.Contents:Spermatic cord in malesRound ligament in femalesIlioinguinal nerve in both males and femalesSpermatic Cord: is a cord-like collection of structures that pass through the inguinal canal to and from the testis.It is covered by three fascias;External spermatic fascia: It is derived from the external oblique muscle. It attaches to the margins of superficial inguinal ring.Cremasteric fascia: It is derived from the internal oblique muscle. It covers the cremaster muscle.Internal spermatic fascia: derived from the fascia transversalis.Contents:Testicular aeryPampiniform plexus (testicular veins)Lymphatic vessels (testicular)Nerve to cremaster (genital branch of the genitofemoral nerve),Autonomic nerves: testicular nerves Vas deferens Tunica vaginalis (remains of the processus vaginalis)Ref: Clinical Anatomy By Regions, By Richard S. Snell, 9th Edition, Page 128